Rationale of not using ACE inhibitor with spironolactone is?
1. Hyperkalemia
2. Hypokalemia
3. Increases cough
4. Hypomagnesimia

Correct answer: 1. Hyperkalemia

Explanation: ANSWER.: (A) HyperkalemiaREF: KDT 6th edition page 484, Katzung 12 th edition page 185ACE inhibitors are contraindicated with potassium supplements and potassium sparing diuretics (spironolactone) because they can cause dangerous hyperkalemia.ACE inhibitors are also contraindicated with NSAIDs because they attenuate the hypotensive action.ACE inhibitors increases the lithium toxicity by reducing the lithium clearanceACE inhibitors + Diuretics+ NSAIDs combination contraindicated as they can cause renal failure.